Most common malignancy in AIDS:
1. Kaposi sarcoma
2. B cell lymphoma
3. Leukemia of myeloid origin
4. Burkitt's lymphoma

Correct answer: 1. Kaposi sarcoma

Explanation: AIDS-defining malignancies: Kaposi sarcoma (m/c) B- cell Lymphoma Cervical cancer in women / Anal cancer in women